Among various species of mosquitoes belonging to anopheles genus, one that is highly anthrophilic and transmits even at low density is
1. Anopheles sundicans
2. Anopheles stephensi
3. Anopheles fluvitalis
4. Anopheles culicifacies

Correct answer: 3. Anopheles fluvitalis